Caspases are involved in
1. Apoptosis
2. Pain pathway
3. Cell necrosis
4. Phagocytosis

Correct answer: 1. Apoptosis

Explanation: Apoptosis results from the activation of enzymes called caspases (so named because they are cysteine proteases that cleave proteins after aspartic residues). The activation of caspases depends on a finely tuned balance between production of pro- and anti-apoptotic proteins. Two distinct pathways converge on caspase activation: the mitochondrial pathway and the death receptor pathway.( Robbins Basic Pathology, 9th edition, page 19 )